The treatment of choice in a patient with Massive Pulmonary Embolism in Shock is-
1. Thrombolytic Therapy
2. Low Molecular Weight Heparin
3. Aggressive fluid resuscitation
4. Diuretic Therapy

Correct answer: 1. Thrombolytic Therapy

Explanation: Ans. is 'a' i.e., Thrombolytic Therapy Treatment of patients with pulmonary embolism based on risk stratification Patient with Dulmonary embolism | | | Low risk (Small PE) o Normotension Plus o Normal right ventricular function Intermediate risk (Submassive PE) o Normotension Plus o Right ventrucular dysfunction (RV hvpokinesia on echocardiogram) High risk (Massive PE) o Hypotension Plus o R V dysfunction | | | o Treatment of choice is anticoagulation o Treatment is controversial o Treatment of choice is Thrombolysis (or Embolectomy)